Pathological jaundice criteriaall include except :
1. 24 hours later but within 72 hours
2. more than 14 days persistence
3. > 2mg / dl conjugated bilirubin
4. Clay colored stool

Correct answer: 1. 24 hours later but within 72 hours

Explanation: Pathological jaundice
Presence of any of the following signs denotes that the jaundice is pathological.
Clinical jaundice detected before 24 hours of age
Rise in serum bilirubin by more than 5 mg/dL/ay
Serum bilirubin more than 15 mg/dL
Clinical jaundice persisting beyond 14 days of life
Clay/white colored stool and/or dark urine staining the clothes yellow.
Direct bilirubin >2 mg/ dL at any time